Largest cusp in permanent mandibular first molar is:
1. Mesiobuccal
2. Distobuccal
3. Mesio lingual
4. Distal

Correct answer: 1. Mesiobuccal